World health day is celebrated every year on:-
1. 31st march
2. 7th april
3. 31st may
4. 1st December

Correct answer: 2. 7th april

Explanation: 7th April World health day Days of public health importance Day Public health importance 30th January Anti-leprosy day 2nd Wednesday of March No smoking day 24th March Anti-TB day 7th April World health day 31st May No tobacoo day 5th June World environment day 1st July Doctors day 8th September World literacy day 10th November Universal immunization day 1st December World Aids day